All except following are caused by accidental transection of pituitary stalk
1. Diabetes mellitus
2. Polyuria
3. Galactorrhea
4. Diabetes insipidus

Correct answer: 1. Diabetes mellitus

Explanation: ADH deficiency produces DI and polyuria. Loss of inhibitory control on lactotropes leads to hyperprolactinemia (galactorrhea).
If the pituitary stalk is cut above the pituitary gland but the entire hypothalamus is left intact, the posterior pituitary hormones continue to be secreted normally, after a transient decrease for a few days; they are then secreted by the cut ends of the fibers within the hypothalamus and not by the nerve endings in the posterior pituitary. The reason for this is that the hormones are initially synthesized in the cell bodies of the supraoptic and paraventricular nuclei and are then transported in combination with “carrier” proteins called neurophysins down to the nerve endings in the posterior pituitary gland, requiring several days to reach the gland.
ADH is formed primarily in the supraoptic nuclei, whereas oxytocin is formed primarily in the paraventricular nuclei. Each of these nuclei can synthesize about one sixth as much of the secondary hormone as of its primary hormone.
When nerve impulses are transmitted downward along the fibers from the supraoptic or paraventricular nuclei, the hormone is immediately released from the secretory granules in the nerve endings by  the usual secretory mechanism of exocytosis and is absorbed into adjacent capillaries. Both the neurophysin and the hormone are secreted together, but because they are only loosely bound to each other, the hormone separates almost immediately. The neurophysin has no known function after leaving the nerve terminals.
Reference: GUYTON AND HALL TEXTBOOK OF MEDICAL PHYSIOLOGY, THIRTEENTH EDITION(INTERNATIONAL EDITION ) page no 948,949